A Chandler's index of 312 is considered as:
1. The infection is not of much significance
2. Minor public health problem
3. Potential danger
4. Important public health problem

Correct answer: 4. Important public health problem

Explanation: Chandler's index: It is the average number of hookworm eggs per gram of faeces for an entire community. Chandler's index < 200 = Hookworm infection is not of much significance Chandler's index 200 - 250 = May be regarded as a potential danger Chandler's index 250 - 300= Minor public health problem Chandler's index >350 = Important public health problem Ref: Park, 17 Edition, Page 186